An expansion alliance made with an expansion screw is an example of:
1. Simple anchorage
2. Reciprocal anchorage
3. Multiple anchorage
4. Reinforced anchorage

Correct answer: 2. Reciprocal anchorage